Most common malignant tumour of parotid is?
1. Adenoid Cystic
2. Warthin tumour
3. Mucoepidermoid carcinoma
4. Adenocarcinoma

Correct answer: 3. Mucoepidermoid carcinoma

Explanation: Ans. is 'c' i.e., Mucoepidermoid carcinoma - o Repeat from previous sessions